True about α-thalassemia trait -
1. Increased HbF
2. Increased HbFA2
3. Microcytosis
4. Severe anemia

Correct answer: 3. Microcytosis